Use the following laboratory values find the best option to describe acid-base disorder: Plasma pH = 7.12 Plasma Pco2 = 60 mm Hg Plasma = 19 mEq/L
1. Respiratory acidosis with renal compensation
2. Metabolic alkalosis with respiratory compensation
3. Combined metabolic and respiratory acidosis
4. Combined metabolic and respiratory alkalosis

Correct answer: 3. Combined metabolic and respiratory acidosis

Explanation: pH < 7.4, thus acidosis Pco2 > 40 mm Hg, thus respiratory acidosis HCO3- < 24 mEq/L, thus metabolic acidosis